Epidemic hemorrhagic conjunctivitis is caused by -
1. HSV
2. HZV
3. HIV
4. Picorna virus

Correct answer: 4. Picorna virus

Explanation: Epidemic hemorrhagic conjunctivitis is caused by Coxsackie Virus A24 or Enterovirus 70 (members of the Family Picornaviridae). HSV (Herpes Simplex Virus)- causes oral herpes and genital herpes. HZV (Herpes Zoster Virus) -causes Shingles. HIV -cause AIDS.